Corpus delicti means:
1. Inquest of death
2. Postmortem findings
3. Death by asphyxia
4. Essence of crime

Correct answer: 4. Essence of crime

Explanation: Ans. D: Essence of crime Corpus delicti /body of crime is a term which refer to the principle that it must be proven that a crime has occurred before a person can be convicted of committing the crime.